Accessory renal arteries are A/E
1. End arteries
2. Vascular anomaly
3. 2-4 in number
4. Very rare occurance

Correct answer: 4. Very rare occurance

Explanation: D i.e. Very rare occurancePresence of accessory (supernumerary) renal arteries is the most common renal vascular anomalyQ. It is two times more common than supernumerary renal veins.